25-yrs women present with bloody diarrhoea & are diagnosed as a case of Ulcerative colitis. Which of the following condition is not associated -
1. Sclerosing cholangitis
2. Iritis
3. Ankylosing spondylitis
4. Pancreatitis

Correct answer: 4. Pancreatitis